Which of the following drugs should not be used in setting of severe hypertension in elderly on empirical basis?
1. Enlapril
2. Amlodipine
3. Chlorthiazide
4. Prazosin

Correct answer: 4. Prazosin

Explanation: Ans. is 'd' i.e., Prazosin o For initial treatment (emperical treatment) ACE inhibitors, ARBs, Diuretics or CCBs are used. Note - in most of the cases thiazide diuretic is the DOC for treatment initiation.